True about reliability of a test
1. Consistency and reproducibility of the test are not a problem
2. Investigator’s knowledge is important
3. Gives same results on repeated tests
4. Extent of variation of measurement of contained behaviour

Correct answer: 3. Gives same results on repeated tests

Explanation: RELIABILITY OF A TEST
• Gives same results on repeated tests: Reliability
• Investigator’s knowledge is important
• Consistency and reproducibility of the test are not a problem
• Extent of variation of measurement of contained behaviour